Which of the following muscles elevates the larynx?
1. Sternothyroid
2. Sternohyoid
3. Omohyoid
4. Thyrohyoid

Correct answer: 4. Thyrohyoid